A 70 years male presented with asymptomatic white patch on oral cavity following application of the denture. Treatment of choice is -
1. Low does radiotherapy
2. Biopsy of the all the tissues
3. Ascertaining the denture is fit properly
4. Antibiotics

Correct answer: 3. Ascertaining the denture is fit properly